All of the following are random sampling methods except-
1. Simple random
2. Cluster sampling
3. Stratified random
4. Quota sampling

Correct answer: 4. Quota sampling

Explanation: Quota sampling. Reference:Park's textbook of preventive and social medicine,K.Park,23rd edition,page no:850.